Tinel's sign is positive and non-progressive is seen in
1. Neuropraxia
2. Axonotmesis
3. Neurotmesis
4. All of the above

Correct answer: 3. Neurotmesis

Explanation: Neuropraxia - Tinel's Negative
Axonotmesis - Tinel's positive and progressive 
Neurotmesis - Tinel's positive and non-progressive